Toxic shock syndrome is Staphylococcus infection is due to
1. Superantigen
2. Alpha-hemolysis
3. Coagulase
4. Penton Valentine factor

Correct answer: 1. Superantigen

Explanation: Toxic shock syndrome is a potentially fatal multisystem disease caused by TTST type 1(formerly known as enterotoxin type F or pyrogenic exotoxin C) is most often responsible, though enterotoxins B or C may also cause the syndrome. Staphylococcal enterotoxins and TSST-1 are superantigens which are potent activators of T lymphocytes. Being V beta-restricted T cell mitogens, such superantigens stimulate very large numbers of T cells, without relation to their epitope specificity. This leads to an excessive and dysregulated immune response, with the release of cytokines interleukins 1 and 2, tumor necrosis factor and interferon gamma. This explains the multisystem involvement and florid manifestations in staphylococcal food poisoning and TSS. Ref: Textbook of Microbiology; Ananthanarayanan and Panicker; 10th Edition; Page No: 204